Which of following tests in used to defect semen ?
1. Phenolphthalein test
2. Reine's test
3. Barberio's test
4. Paraffin test

Correct answer: 3. Barberio's test